Painless ulcer along with painless lymphadenopathy is characteristic of which STD:
1. Syphilis
2. Chancroid
3. LGV
4. Donovanosis

Correct answer: 1. Syphilis

Explanation: Ans. is. 'a' i. e., Syphilis